Which of the following type of cells are predominantly seen in the myocardial tissue within 48 hours of MI?
1. Macrophages
2. Neurophils
3. Fibroblasts
4. Monocytes

Correct answer: 2. Neurophils

Explanation: 24-48 hours following MI, neutrophilic infiltration is noted predominantly in the border of cardiac myocytes. Large number of neutrophils are seen after 3-5 days. Macrophages are the predominant cell group seen 6 - 10 after MI. Reference: Robbins Pathology, 6th Edition, Page 558